Griesinger's sign is observed in which of the following condition?
1. Abducent nerve paralysis
2. Otosclerosis
3. Lateral sinus thrombosis
4. Petrositis

Correct answer: 3. Lateral sinus thrombosis

Explanation: Griesinger's sign: Erythema and oedema posterior to the mastoid process resulting from septic thrombosis of the mastoid emissary vein. It is seen in lateral sinus thrombosis.